5'-Nucleotidase activity is increased in:
1. Bone diseases
2. Prostate cancer
3. Chronic renal failure
4. Cholestatic disorder

Correct answer: 4. Cholestatic disorder

Explanation: Answer is D (Cholestatic disorders) 5' Nucleotidase reflects cholestasis and is rarely elevated in conditions other than liver disease. Most important enzymes reflecting cholestasis Alkaline phophatase 5' Nucleotidase Gamma Glutanym transpeptidase 5' Nucleotidase and GGT are the most specific marker for cholestasis and are rarely elevated in conditions other than liver disease -- Harrison